Which of the following is the first treatment for an anesthetized patient experiencing bronchospasm
1. Administer inhalational beta-2 agonists
2. Administer intravenous epinephrine
3. Administer additional anesthetic
4. Administer neuromuscular blocking agent

Correct answer: 3. Administer additional anesthetic

Explanation: Administer additional anesthetic(s) to deepen the level of anesthesia, is the first treatment for bronchospasm because it is quick to administer. Inhalational beta-2 agonists, volatile anesthetics, and intravenous drugs with beta-adrenergic activity (epinephrine) can all attenuate bronchospasm. Neuromuscular blocking agents, have no effect on bronchospasm. In fact, some neuromuscular blocking agents can precipitate a bronchospasm if they cause histamine release.